Who discovered polymerase chain reaction
1. Walter Gilbert
2. Barbara Mcclintock
3. Frederick Sanger
4. Karry B mullis

Correct answer: 4. Karry B mullis

Explanation: Karry B mullis discovered PCR.